Wof are features of laryngeal Ca
1. Glottis is the MC site
2. Lesions seen at the edge of the vocal cord
3. Hoarseness of voice is early sign
4. All of the above

Correct answer: 4. All of the above

Explanation: GLOTTIC CANCER In vast majority of cases, laryngeal cancer originates in the glottic region. Free edge and upper surface of vocal cord in its anterior and middle third is the most frequent site. Spread:- Locally, the lesion may spread anteriorly to anterior commissure and then to the opposite cord; posteriorly to vocal process and arytenoid region; upward to ventricle and false cord; and downwards to subglottic region. Vocal cord mobility is unaffected in early stages. Fixation of vocal cord indicates spread of disease to thyroarytenoid muscle and is a bad prognostic sign. There are few lymphatics in vocal cords and nodal metastases are practically never seen in cordal lesions unless the disease spreads beyond the region of membranous cord. Symptoms:- Hoarseness of voice is an early sign because lesions of cord affect its vibratory capacity. It is because of this that glottic cancer is detected early. Increase in size of growths with accompanying oedema or cord fixation may cause stridor and laryngeal obstruction. Ref:- Dhingra; pg num:-309